Invertogram to be done in a newborn –
1. Immediately
2. After 2 hours
3. After 4 hours
4. After 6 hours

Correct answer: 4. After 6 hours

Explanation: Invertogram is done to detect imperforate anus.
It is done after six hours of birth in infant as sufficient air may have collected in large intestine to cast a X-ray shadow.